All of the following are true about location of otic ganglia except:
1. Inferior to foramen ovale
2. Lateral to tensor veli palatini
3. Lateral to mandibular nerve
4. Anterior to middle meningeal artery

Correct answer: 3. Lateral to mandibular nerve

Explanation: Ans. c. Lateral to mandibular nerve (Ref: Gray's 40/e p543)The mandibular nerve lies lateral to the otic ganglion. Otic ganglion is medial to mandibular nerve."Otic ganglion: This is a small, oval, flat reddish-grey ganglion situated just below the foramen ovate. It is a peripheral parasympathetic ganglion related topographically to the mandibular nerve, but connected functionally with the glossopharyngeal nerve. Near its junction with the trigeminal motor root, the mandibular nerve lies lateral to the ganglion; tensor veli palatini lies medially, separating the ganglion from the cartilaginous part of the pharyngotympanic tube, and the middle meningeal artery is posterior to the ganglion. The otic ganglion usually surrounds the origin of the nerve to medial pterygoid. "-- Gray's 40/e p543Otic Ganglion* Otic ganglion lies medial to the mandibular nerveQ* Otic ganglion is a small parasympathetic ganglion located in the infratemporal fossaQ.* It is functionally associated with glossopharyngeal nerve & innervates parotid gland for salivationQ.* It is connected to the chorda tympani nerve & to nerve of pterygoid canal. These pathways provide an alternate pathway of taste from anterior two-thirds of tongueQ.* The preganglionic parasympathetic fibers originate in the inferior salivatory nucleus of the glossopharyngeal nerveQ.* They Leave the glossopharyngeal nerve by Its tympanic branch and then pass via the tympanic plexus and the lesser petrosal nerve to the otic ganglionQ.* Here the fibers synapse, and the postganglionic fibers pass by communicating branches to the auriculotemporal nerve, which conveys them to the parotid glandQ.* They produce vasodilator & secretomotor effectsQ.Relations of Otic Ganglion* Just below foramen ovaleQ* Medial to mandibular nerveQ* Lateral to tensor veli palatiniQ* Middle meningeal artery ties posterior to the ganglionQ* Surrounds the origin of nerve to medial pterygoid Otic GanglionConnections of Otic GanglionSympathetic rootSensory rootMotor Root* Derived from the plexus on middle meningeal arteryQ.* Contains postganglionic fibers arising in superior cervical ganglion.* Fibers pass through the ganglion without relay & reach parotid gland via auriculotemporal nerveQ* Vasomotor in function* Sensory root comes from auriculotemporal nerveQ* Sensory to parotid glandQ* Motor fibers supplying medial pterygoid & tensor palate, tensor tympani pass through the ganglion without relayQ.